Psychosis is NOT associated with:
1. Delusion
2. Depression
3. Phobia
4. Mania

Correct answer: 3. Phobia

Explanation: Ans. Phobia